Which of the following urinary metabolites are most sensitive for diagnosis of pheochromocytomas
1. VMA
2. Metanephrines
3. 5HIAA
4. 5HTP

Correct answer: 2. Metanephrines

Explanation: Answer is B (Metanephrines): The most sensitive test for diagnosis of pheochromocytomas is measurement of fractionated metanephrines in urine and free metanephrines in plasma.